Level V cervical nodes includes:
1. Upper jugular nodes
2. Middle jugular nodes
3. Lower jugular nodes
4. Posterior triangle nodes

Correct answer: 4. Posterior triangle nodes

Explanation: Level V cervical nodes includes posterior triangle nodes. CERVICAL LYMPH NODES Level Lymph Node IA SubmentalQ IB SubmandibularQ II UpperQ jugular III MiddleQ jugular IV LowerQ jugular V Posterior triangularQ VI Anterior compartmental or centralQ VII Superior mediastinalQ